Most common malignancy in AIDS is:
1. Kaposi sarcoma
2. Hodgkins lymphoma
3. Leukemia
4. Multiple myeloma

Correct answer: 1. Kaposi sarcoma

Explanation: Ans. A: Kaposi sarcoma The neoplastic diseases clearly seen with an increased frequency in patients with HIV infection are Kaposi sarcoma and non-Hodgkin's lymphoma